The audit maxillary sinus measures about
1. 33mm in height, 23mm in width
2. 33mm in width, 23mm in height
3. 30mm in height, 8 mm in width
4. 8mm in height, 30mm in width

Correct answer: 1. 33mm in height, 23mm in width